Characteristic cell of granulomatous reaction is:
1. Epitheloid cell
2. Plasma cell
3. Lymphocyte
4. Eosinophil

Correct answer: 1. Epitheloid cell

Explanation: Ans. a (Epitheloid cell). (Ref. Robbins, Pathologic Basis of Disease, 6th/pg.204)Characteristic features of granulomatous reaction/inflammationa) Epithelioid cells (modified macrophages)b) Giant cells (Langhans, foreign body)c) Necrosis (caseation)d) Fibrosis